A 22-year-old man sees his ophthalmologist because it is becoming increasingly difficult for him to read the newspaper. His vision problem most likely results from an inability to contract which of the following?
1. Iris
2. Ciliary body
3. Suspensory ligaments
4. Extraocular muscles

Correct answer: 2. Ciliary body

Explanation: Contracting the ciliary body increases the refractive power of the eye for near vision. When the ciliary muscle contracts, it pulls the suspensory ligaments toward the cornea, which causes the lens surface to bulge, increasing its refractive power. The muscles of the iris control the size of the pupils, and the extraocular muscles control the position of the eye in the socket.